Dinoprost is -
1. PG El
2. PGE2
3. PGF2 alpha
4. PGI2

Correct answer: 3. PGF2 alpha

Explanation: Ans. is 'c' i.e., PG F2 alpha o Dinoprost - PG F2 alpha, intraamniotically for midterm abortion. o Dinoprostone - PG E2, intravaginally for midterm abortion.